Crowding phenomenon is seen in:
1. Hypermetropia
2. Amblyopia
3. Strabismus
4. Retinitis pigmentosa

Correct answer: 2. Amblyopia

Explanation: Crowding Phenomenon - patient is able to identify a Snellen chant character with the amblyopic eye when The character is presented in isolation. Crowding phenomenon seen in Amblyopia. Amblyopia - loss of vision in a child (<8yr) Lazy eye syndrome M/c/c of amblyopia = squint Best treatment of Amblyopia - occlusion of good eye - forces the amblyopic eye to see more and thereby develop better vision. Occlusion therapy works only when the development is plastic (i.e. during childhood) Vitamin used for treating Toxic Amblyopia - Hydroxycobalamine (misnomer - Toxic Optic Neuropathy is better used term)